Severe painful sensorimotor and autonomic neuropathy along with alopecia may suggest poisoning with:
1. Thallium
2. Arsenic
3. Lead
4. Copper

Correct answer: 1. Thallium

Explanation: Severe painful sensorimotor and autonomic neuropathy along with alopecia--thallium Severe painful sensorimotor neuropathy / GI disturbance and Mee's lines--arsenic Wrist or finger extensor weakness / anemia and basophilic stippling of red blood cells--lead Ref: Harrison, Edition-18, Page-3450.